Bilateral pleural plaques and pulmonary fibrosis involving bases is hallmark of –
1. Asbestosis
2. Silicosis
3. Scleroderma
4. Byssinosis

Correct answer: 1. Asbestosis

Explanation: The most useful radiological finding of asbestosis is the presence of bilateral pleural plaques especially in lower and middle lung zones.